The nitrogen content in 50 gm of a typical dietary protein is most likely to be
1. 5 gm
2. 8 gm
3. 10 gm
4. 16 gm

Correct answer: 2. 8 gm